Acculturation is
1. Triage
2. Cultural change due to socialization
3. Attitude
4. Belief

Correct answer: 2. Cultural change due to socialization

Explanation: Acculturation means 'culture contact'. When there is contact between two people with different types of culture, there is diffusion between of culture both ways.Park 23e pg: 672